Shape of nulliparous cervix is:
1. Transverse
2. Longitudinal
3. Circular
4. T shaped

Correct answer: 3. Circular

Explanation: Shape of nulliparous cervix is circular the cervix is spindle shaped and measures 2.5 cm. It is bounded above by internal os  and below by external os. In nulliparous women the external os is circular whereas parous cervix is characterized by a  transverse slit.